Amount of free residual chlorine in drinking water:
1. 0.1 mg/L
2. 0.5 mg/L
3. 1.0 mg/L
4. 1.5 mg/L

Correct answer: 2. 0.5 mg/L

Explanation: Ans. B: 0.5 mg/L Chlorine readily combines with chemicals dissolved in water, microorganisms, small animals, plant material, tastes, odors, and colors. These components "use up" chlorine and comprise the chlorine demand of the treatment system. It is important to add sufficient chlorine to the water to meet the chlorine demand and provide residual disinfection. The contact (retention) time in chlorination is that period between introduction of the disinfectant and when the water is used. A long interaction between chlorine and the microorganisms results in an effective disinfection process. Contact time varies with chlorine concentration, the type of pathogens present, pH, and temperature of the water. The chlorine that does not combine with other components in the water is free (residual) chlorine, and the breakpoint is the point at which free chlorine is available for continuous disinfection. An ideal system supplies free chlorine at a concentration of 0.5 mg/1.